Posterior subcapsular stellate cataract seen in
1. Wilson's disease
2. DM
3. Myotonic Dystrophy
4. SLE

Correct answer: 3. Myotonic Dystrophy

Explanation: (C) Myotonic Dystrophy > Sunflower cataract - Occurs in Wilson's disease -Concussion may cause an 'imprinting' of iris pigment on the anterior lens capsule (Vossius ring) as well as striking flower shaped cortical opacities (rosette cataract).> Trauma is he most common cause of unilateral cataract in young individuals> Snow flake or snow storm cataract - Diabetes Shield like anterior subcapsular cataract - Atopic dermatitis> Stellate posterior subcapsular cataract - Myotonic dystrophy> Punctate subcapsular cataract - Down syndrome